Which of the following has gap junctions?
1. Skeletal muscle
2. Smooth muscle
3. Choroid plexus
4. Renal tubular epithelium

Correct answer: 2. Smooth muscle

Explanation: Free passage of ions occurs across gap junctions, from one cell to the next, and so on. Cells connected by gap junctions are said to be 'electrically coupled'. The cells that are at some distance from blood vessels are also connected by gap junctions. Such cells can derive nutrition (from cell to cell) gap junctions. Cardiac & smooth muscle cells are connected by gap junctions. Skeletal muscle (option A) fibers are connected to each other by the Z-discs that run across fibers. Choroid plexus (option C) - tight junctions that form BBB. Renal tubular epithelium (option D) - tight junctions.